Clinical features of Botulism are all EXCEPT:
1. Diarrhoea
2. Constipation
3. Ocular nerve paralysis
4. Blurring of vision

Correct answer: 1. Diarrhoea

Explanation: (Diarrhoea): Ref: 843-H, (211- Park 20th)BOTULISM - Clostridium botulinum (Incubation period 12-36 hours)Clinical symptoms* Cranial nerve involvement - diplopia, dysarthria, dysphonia or dysphagia weakness is asymmetric and progresses* Dizziness, blurred vision, dry mouth sore throat* Alert and oriented, may be drowsy, agitated and anxious.* Nausea vomiting and abdominal pain* Ptosis, papillary reflexes may be depressed, and fixed or dilated pupils are noted in half the patients* Paralytic ileus, severe constipation and urinary retension are common* Typically they have no feverInfant-Botulism: identification of contaminated honey as one source of spores has led to the recommendation that honey not be fed to children < 12 months of age.